The following are true of vibrio cholerae excepta) Produces indole and reduces nitratesb) Synthesises neuraminidasec) Dies rapidly at low temperatured) Vaccine confers long immunity
1. ab
2. bc
3. cd
4. ac

Correct answer: 3. cd